Cicatrising trachoma is seen in-
1. Stage- 1
2. Stage- 2
3. Stage- 3
4. Stage- 4

Correct answer: 3. Stage- 3

Explanation: Grading of trachoma:McCallan's classification Stage I (Incipient trachoma or stage of infiltration).It is characterized by hyperaemia of palpebral conjunctiva and immature follicles. Stage II (Established trachoma or stage of florid infiltration). It is characterized by appearance of mature follicles, papillae and progressive corneal pannus. Stage III (Cicatrising trachoma or stage of scarring). It includes obvious scarring of palpebral conjunctiva. Stage IV (Healed trachoma or stage of sequelae). The disease is quite and cured but sequelae due to cicatrisation give rise to symptoms. ref: A K KHURANA OPHTALMOLOGY,E4, Page-65,66